In Spondylolisthesis, which of the following is NOT useful investigation?
1. Anteroposterior X-ray
2. Lateral view X-ray
3. CT
4. MRI

Correct answer: 1. Anteroposterior X-ray

Explanation: (a)-AP view will show changes only in last stages-inverted Napoleon hat sign all other are more important for diagnosis and management. CT and MRI are required in all cases.